The following pigment is not derived from hemoglobin -
1. Hematin
2. Hemosiderin
3. Lipofuscin
4. Bilirubin

Correct answer: 3. Lipofuscin

Explanation: Ans. is 'c' i.e., LipofuscinLipofuscin --> They represent undigested material that results from intra cellular lipid peroxidation.